Treatment of papillary carcinoma thyroid with level VI lymph
node metastasis is
1. Total thyroidectomy
2. Total thyroidectomy + central neck dissection
3. Total thyroidectomy + radioiodine ablation
4. Total thyroidectomy + radical neck dissection

Correct answer: 2. Total thyroidectomy + central neck dissection

Explanation: IF level VI is affected then CND is done. If any other LN is involved then modified radical neck dissection is preferred.